Which of the following is associated with Osteomalacia?
1. Decrease in osteoid surface
2. Decrease in osteoid volume
3. Increase in osteoid maturation time
4. Increase in mineral apposition rate

Correct answer: 3. Increase in osteoid maturation time

Explanation: steomalacia is an adult counterpart of rickets. It is primarily due to deficiency of vitamin D. This results in failure to replace the turnover of calcium and phosphorus in the organic matrix of the bone, as a result bone content is demineralised and the bony substance is replaced by soft osteoid tissue. Finally resulting in an increase in osteoid maturation time. Ref: Essential Orthopedics, 3rd Edition By J Maheswari, Pages 264-5.